The deformity that is most commonly seen in primary osteoarthritis of knee joint?
1. Genu valgum
2. Genu recurratum
3. Genu varus
4. Procurvatum

Correct answer: 3. Genu varus

Explanation: Deformity seen is varus of the knee, flexion-abduction external rotation of the hip Osteoarthritis occurs in elderly people, mostly in the major joints of the lower limb, frequently bilaterally. The hip joint is commonly affected in a population with western living habits, while the knee is involved more commonly in a population with Asian living habits i.e., the habit of squatting and sitting cross-legged. Pain is the earliest symptom. It occurs intermittently in the beginning but becomes constant over months or years. Initially, it is dull pain and comes on starting an activity after a period of rest; but later it becomes worse and cramp-like, and comes after activity. Other symptoms are A coarse crepitus, Swelling, Stiffness, a feeling of 'instability' of the joint, and 'locking' resulting from loose bodies and frayed menisci. REF:Maheswari 9TH ED pg: 296